True about apnoea in a Preterm baby are all EXFEPT:
1. (< 20sec
2. Associated with bradycardia
3. Leads to hypoxia
4. May cause cyanosis

Correct answer: 1. (< 20sec

Explanation: ANSWER: (A) < 20 secREF: Primary care of the premature infant.Page 19 by Dara Brodsky, Mary Ann Ouellette, Respiratory Care: Principles and Practice. Page 993 by Dean Hess, Neil MacIntyre, Shelley MishoeMost standard text books of pediatrics and respiratory medicine describe apnea of prematurity as cessation of respiration > 20 secs along wTith bradycardia, hypoxia , cyanosis or pallor.Apnea is traditionally classified as either obstructive, central, or mixed. Obstructive apnea may occur when the infant s neck is hyperflexed or conversely, hyperextended. It may also occur due to low pharyngeal muscle tone or to inflammation of the soft tissues, which can block the flow of air though the pharynx and vocal cords. Central apnea occurs when there is a lack of respiratory effort. This may result from central nervous system immaturity, or from the effects of medications or illness. Many episodes of apnea of prematurity may start as either obstructive or central, but then involve elements of both, becoming mixed in nature